Bevacizumab mechanism of action -
1. Acts on VEGF
2. EGFR antagonist
3. PDGF monoclonal antibody
4. Tyrosine kinase inhibitor

Correct answer: 1. Acts on VEGF

Explanation: Ans. is 'a' i.e., Acts on VEGFDrugMolecular TargetDiseaseMechanism of ActionAll trans retinoic acid (ATRA)PM L- ICAR a oncogneAcute promyelocytic leukemia M3 AML; t (15; 17)Inhibits transcriptional repression by PML-RARaImatinibBcr-Abl, c-Abl, c-Kit, PDGFR-a/bCML; GISTBlocks ATP binding to tyrosine kinase active site.Suntinibc-Kit, VEGFR-2, PDGFR-b, Fit-3GIST; Renal cell carcinomaInhibits activated c-Kits and PDGFR in GIST; inhibits VEGFR in RCCSorafenibRAF, VEGFR-2, PDGFR - a/b, Fit-3, c-KitRCC; Hepatocellular carinomaTargets VEGFR pathways in RCC. Possible activity against BRAF in melanoma, colon cancer and othersEriotinibBGFRNon small cell lung cancer; pancreatic cancerCompetitive inhibitor of the ATP- binding site of EGFRGefitinibBORNon-small cell lung cacnerInhibitor of EGFR syrosine kinaseBortezomibProteasomeMultiple myelomaInhibits proteolytic degradation of multiple cellular proteinsMonoclonal Antiboides: Transtubumab (Herceptin)HER 2/neu (ERBB2)Breast cancerBinds HER2 on tumor cell surface and induces receptor internalizationCetuximabEGFRColon cancer, squamous cell carcinoma of the head and neckBinds extracellular domain of EGFR and blocks binding of EGF and TGF-a; induces receptor internalization. Potentiates the efficacy of chemotherapy and radiotherapy.PanitumumabBGFRColon cancerLike cetuximab; likely to be similar in clinical activityRitximabCD 20B-cell lymphomas and leukemias that express CD 20Multiple potential mechanisms, including direct induction of tumor cell apoptosis and immune mechanisms.AlemtuzumabCD 52Chronic lymphocytic leukemia and CD 52-expressing lymphoid tumorsImmune mechanismsBevacizumabVBGFColon, lung, breast cancerInhibits angiogenesis by high affinity biding to VEGF.Histone deacvlase inhibitorso Acetylated histones (H3 & H4) promote transcription initiation,o Histone deacetylases cause deacetylation of histone & repress this effect.o Vorinostat is an inhibitor of histone deacetylases, maintains the acetylated state of histone - acetylated histones allow entry of transcription factors and therefore expression of genes that are selectively repressed in tumours,o Vorinostat is used in cutaneous T-cell lymphoma.Biological response modifiero Recombinant IL-2 (aldesleukin, denileukin) are used in renal cell carcinoma.o Denileukin deftitox is a combination of I L-2 with diphtheria toxin - used for cutaneous T cell lymphoma.